Erythopoiesis in gestation age takes place in -
1. Yolk sac
2. Placenta
3. Amniotic sac
4. Chorion

Correct answer: 1. Yolk sac

Explanation: Ans. is 'a' i.e., Yolk sac Erythropoiesis siteso Intrauterine* 0-10 weeks-Yolk sac* 10 weeks - 5 months-Liver (major organ) and spleen* 5 month onwrard-Bone marrowo After birth* Upto 20 years-Bone marrow of all bones* After 20 years-Flat bones of axial skeletal and proximal end of humerus and femur.